Sex ratio as per 2011 census-
1. 970
2. 940
3. 921
4. 915

Correct answer: 2. 940

Explanation: Ans. is 'b' i.e., 940 * Important findings of census 2011# Total population-1210 millions# Annual average growth rate-164%# Decadal growth rate-17-64%# Sex ratio-940# Birth rate-22-1%# Death rate-7-2# Literacy rate-74%# Life expectancy-64 5 years# Density of population-382